Cause of decubitus ulcer in uterine prolapse is :
1. Friction
2. Venous congestion
3. Intercourse
4. Trauma

Correct answer: 2. Venous congestion

Explanation: Ans. is b i.e. Venous congestion "Ulceration of the prolapsed tissue is often said to be caused by friction with the thighs and clothing. Although this may be partly true, it is notable that the ulcer is nearly always on the most dependant part of the cervix or vagina and not at the sides where friction is greatest. It is to be regarded, therefore more as a result of circulatory and nutritional changes than of trauma." Treatment of decubitus ulcer : Reduction of the prolapse into the vagina and daily packing with glycerine and acriflavine. Also know : Difference between Decubitus ulcer and Carcinoma Cervix : Decubitus ulcer shows a clean edge and heals on reposition and vaginal packing.